Throat infection causes Ear infection through:
1. Blood spread
2. Eustachian tube
3. Nasocranial spread
4. Simultaneous infection

Correct answer: 2. Eustachian tube

Explanation: M/C route of infection in middle ear is Eustachian tube. Infection travels the lumen of the tube or along subepithelial peritubal lymphatics.Eustachian tube is infants and young children is shorter, wider and more horizontal and thus accounts for higher incidence of infections in this age group.